Clusters of twisted strands of β sheet are called
1. Amphiphatic helices
2. β barrels
3. Loops and bends
4. Supersecondary structures

Correct answer: 2. β barrels

Explanation: Most β sheets are not perfectly flat but tend to have a right-handed twist. Clusters of twisted strands of β sheet, sometimes referred to as β barrels, form the core of many globular proteins.
Ref: Harper’s illustrated biochemistry. 30th edition page no: 39